Pericardiocentesis is done in which intercoastal space -
1. Left 5th intercostals space
2. Left 7thintercostal space
3. Right 5th intercostal space
4. Right 6th intercostal space

Correct answer: 1. Left 5th intercostals space